Growth hormone has its effect on growth through-
1. Directly
2. IGF -1
3. Thyroxine
4. Intranuclear receptors

Correct answer: 2. IGF -1

Explanation: Ans. is 'b' i.e., IGF -1 o GH has two major functions:- The growth of skeletal system The growth is mediated by somatomedins (IGF). Increased deposition of cartilage (including chondroitin sulfate) and bone with increased proliferation of chondrocytes and osteocytes. Metabolic effects- most of the metabolic effects are due to the direct action of GH. These include gluconeogenesis, decreased peripheral utilization of glucose (decreased uptake), lipolysis and anabolic effect on proteins.